True about Henoch Scholien purpura:
1. Abdominal pain
2. Can lead to end stage renal disease
3. Palpable purpura
4. All of the above

Correct answer: 4. All of the above

Explanation: Answer is D (All of the above): Abdominal pain, Intussusseption, Palpable Purpura and progression to end stage renal disease may all be seen in H.S. purpura Abdominal pain is a characteristic manifestation of HSP (60-70% of patients) Abdominal Manifestations Colicky Abdominal pain Nausea, Vomiting, diarrhea or constipation Gastrointestinal bleeding Intussusception Intussusception may occur in H.S. purpura Intussusception is rare in adults but may occur in children HSP associated intussussception is usually ileoileal in contrast to idiopathic Intussusception which is ileocolic Palpable purpura is the most common manifestation of HSP. Palpable purpura is seen in virtually all pediatric patients HSP can lead to End stage Renal Disease Although HSP is usually associated with mild Glomerulonephritis, patients may progress to end stage renal disease. 'Renal disease is more frequent and tends to be persistant in adults who have a higher risk than children of developing End-stage Renal Disease' - CRDT 2nd/318